Topical mitomycin C is used in the treatment of:
1. Basal skull cancer
2. Trachea] stenosis
3. Skull base osteomyelitis
4. Angiofibroma

Correct answer: 2. Trachea] stenosis

Explanation: Ans. b. Tracheal stenosis "Topical Mitomycin C is the drug of choice used to aid the treatment of laryngeal stenosis. Topical Mitomycin C can inhibit fibroblast activity and restenosis."